Polyglandular autoimmune syndrome I true are all except -
1. Autosomal recessive
2. Mutations in gene APECED
3. Associated with chronic active hepatitis
4. Associated with celiac disease

Correct answer: 4. Associated with celiac disease

Explanation: Ans. is 'd' i. e., Associated with celiac disease PGA IFGAilEpidemiologyo Autosomal recessiveo Mutations in APECED geneo Childhood onseto Equal malerfemale ratioo Polygenic inheritanceo HLA-DR3 and HLA-DR4 associatedo Adult onseto Female predominanceDiseases Associationso Mucocutaneous candidiasiso Hypoparathyroidismo Adrenal insufficiencyo Hypogonadismo Alopeciao Hypothyroidismo Dental enamel hypoplasiao Malabsorptiono Chronic active hepatitiso Vitiligoo Pernicious anemiao Adrenal insufficiencyo Hypothyroidismo Graves diseaseo Type l diabeteso Hypoganadismo Hypophysitiso Myasthenia graviso Vitiligoo Alopeciao Pernicious anemiao Celiac disease